Concentration of MgSO4 in the treatment of eclampsia in meq/L:
1. 7 − 10.
2. 10 − 15.
3. 2 − 4.
4. 4 − 7.

Correct answer: 4. 4 − 7.